Pneumothorax
1. Trachea shifted to opposite side
2. Dull note on percussion
3. Increased Breath Sound
4. Increased Tactile vocal fremitus

Correct answer: 1. Trachea shifted to opposite side

Explanation: In pneumothorax, the trachea will be deviated to the opposite side. Resonant or hyperresonant note on percussion. Breath sounds will be reduced or absent. Tactile vocal fremitus will be decreased. Tactile vocal resonance will also be decreased. Option B: Dull note on percussion is seen in consolidation, collapse, pleural effusion. Reference: Davidson's Medicine-22nd edition, page no:645.